Pseudohpyhae are seen in
1. Cryptococcus
2. Candida
3. Rhizopus
4. Mucor

Correct answer: 2. Candida

Explanation: Candida is a yeast like fungus that produces Pseudohyphae.